Mr. James has just been diagnosed with myasthenia gravis. You are his physician and are considering different therapies for his disease. Neostigmine and pyridostigmine may cause which one of the following ?
1. Bronchodilation
2. Diarrhea
3. Cycloplegia
4. Irreversible inhibition of acetylcholinesterase

Correct answer: 2. Diarrhea

Explanation: They cause cholinergic adverse effects - Diarrhoea, increase secretions.